The pin that causes minimum stress in dentin is
1. Threaded pin
2. Cemented pin
3. Amalga pin
4. Friction lock pin

Correct answer: 2. Cemented pin